Nummular keratitis is seen in
1. Bacterial keratitis
2. Herpes zoster keratitis
3. Acanthamoeba keratitis
4. Fungal keratitis

Correct answer: 2. Herpes zoster keratitis

Explanation: Ans. (b) Herpes zoster keratitisRef: A.K. Khurana 6th ed. /108-109